Which among the following is not a beta-lactamase inhibitor?
1. Sulbactam
2. Calvulanic acid
3. Piperacillin
4. Tazobactam

Correct answer: 3. Piperacillin

Explanation: Beta-lactamase inhibitors: Clavulanic acid, Sulbactam, Tazobactam They are potent inhibitors of many bacterial b lactamases and can protect hydrolyzable penicillins from inactivation by these enzymesKatzung 12e 801